A young female patient came for routine examinatio On examination a mid systolic click was found. There is no history of RHD. The histopathological examination is most likely to show-
1. Myxomatous degeneration and prolapsed of the mitral valve
2. Fibrinous deposition on the tip of papillary muscle
3. Rupture of chordae tendinae
4. Aschoff nodule on the mitral valve

Correct answer: 1. Myxomatous degeneration and prolapsed of the mitral valve